All of the following enzymes are involved in oxidation reduction, except:
1. Dehydrogenases
2. Hydrolases
3. Oxygenases
4. Peroxidases

Correct answer: 2. Hydrolases

Explanation: Ans. B. HydrolasesOxidoreductasesCan be:DehydrogenaseOxygenaseMonooxygenaseDioxygenaseOxidaseCatalasePeroxidase